Dienes' phenomena is seen with -a) Proteus mirabilisb) Klebsiellac) Proteus vulgarisd) Providentiae) Morganella
1. a
2. ac
3. ad
4. b

Correct answer: 2. ac